Last case of small pox came from -
1. Somalia
2. Ethiopia
3. India
4. Bangladesh

Correct answer: 1. Somalia

Explanation: The last case of smallpox(variola) minor occurred in Merca,Somalia,in October 1977. Reference:Ananthanarayan & Paniker's textbook of Microbiology,9th edition ,page no:463.